In  a  healthy  individual  on  a  normal  diet,  which of  the  following  ion is  completely  absorbed  in  tubules?
1. Na +
2. K
3. Cl –
4. HCO3 –

Correct answer: 4. HCO3 –